Fatal dose of arsenic in adults -
1. 40-60 mg
2. 20-30 mg
3. 60-80 mg
4. 100-200 mg

Correct answer: 4. 100-200 mg

Explanation: fatal dose of arsenic trioxide is 100-200mg REF;THE SYNOPSIS OF FORENSIC MEDICINE:KS NARAYANA REDDY;28th EDITION;PAGE NO303